Right border of heart is formed by -
1. Right atrium
2. Right ventricle
3. SVC
4. IVC

Correct answer: 1. Right atrium

Explanation: Ans. is 'a' i.e., Right atrium o The heart has following borders and surfaces:-A) Bordersi) Right border:- Formed by right atrium.ii) Left border (obtuse margin):- Formed mainly by left ventricle and partly by left auricle (in its upper most part).iii) Inferior border (acute margin):- Formed mainly by right ventricle and partly by left ventricle near apex.iv) Upper border:- Mainly by left atrium and partly by right atrium where SVC enters.v) Apex:- Formed by left ventricle.B) Surfacesi) Anterior (sternocostal) surface:- Formed mostly by right ventricle (major) and right auricle and partly by left ventricle and left auricle.ii) Inferior (diaphragmatic) surface:- It is formed by left ventricle (left 2/3) and right ventricle (right 1/3). It is traversed by posterior interventricular groove (PIV) containing PIV branch of RCA.iii) Base (posterior surface) :- Formed mainly by left atrium and partly by right atrium. It is separated from T5 to T8 vertebrae by pericardium, oblique pericardial sinus, esophagus and descending thoracic aorta.iv) Right surface:- Mainly by right atrium.v) Left surface :- Mainly by left ventricle and partly by left auricle.o Dont get confused with above question. Most probably this question has been framed by a radiologist. Read following factsi) Right border of heart is formed by (anatomically) - Right atrium.ii) Right border of heart is formed by (on X-ray PA view) - Right atrium (majority), SVC, I VC.o Similiarly-i) Left border of heart is formed by (anatomically) - Left atrium (mainly), left auricle.ii) Left border of heart is formed by (on X-ray PA view) - Aortic knucle, Pulmonary trunk, left auricle, left atrium, left ventricle.